Trough shaped curve in audiometry is seen in -
1. Congenital SNHL
2. Otitis media
3. Otosclerosis
4. Acoustic neuroma

Correct answer: 1. Congenital SNHL